Which of the following drugs, is used for Smoking Cessation?
1. Naltrexone
2. Bupropion
3. Buprenorphine
4. Methadone

Correct answer: 2. Bupropion

Explanation: Answer is B (Bupropion): Bupropion (along with Varenicline and Nicotine replacement therapy) is a USFDA approved first line agent for pharmacotherapy in Smoking Cessation. USFDA Approved Agents for Smoking Cessation Nicotine Replacement Therapy (Transdermal Patch, gum, lozenges, oral inhaler, nasal spray) Bupropion (Atypical Antidepressant with dopaminergic and noradrenergic activity) Varenicline (Selective partial agonist at the Alpha4-Beta2 Nicotinic A-Choline receptor that is believed to mediate nicotine dependence) Clonidine and Nortriptyline are two other medications that have efficacy but are NOT USFDA approved for this indication. These are classified as second line agents.